most common sign in any mitochondrial inheritence diseases?
1. ataxia
2. external ophthalmoplegia
3. psychosis
4. neurogenic weakness

Correct answer: 2. external ophthalmoplegia

Explanation: Mitochondrial diseases * significant clinical and genetic heterogeneity * syndromic and non-syndromic * often multi-system diseases * onset between birth and senescence * a common cause a chronic morbidity and more prevalent than previously thought Common phenotypes in adults PEO-Progressive External Ophthalmoplegia (m/c) K55- Kearns Sayre Syndrome MERRF= Myoclonic Epilepsy with Ragged Red Fibers MELAS= (Mitochondrial Encephalomyopathy, Lactic Acidosis and Stroke-like episodes) ref : robbins 10th ed